Jacquemier's sign is?
1. Asymmetric enlargement of uterus
2. Bluish hue of vagina
3. Cervical softening
4. Lateral fornix pulsation

Correct answer: 2. Bluish hue of vagina

Explanation: Jacquemier's or chadwick's sign: It is the husky hue of the vestibule and anterior vaginal wall visible at about 8th week of pregnancy due to local vascular congestion and as such it may be brought about by pelvic tumour such as uterine fibroid. Also Know: Osiander's sign: There is increased pulsation, felt through the lateral fornices at 8th week of gestation. Ref: Textbook of Obstetrics D.C.Dutta, 6th Ed, page 65.